All are true about Krukenberg's tumor except:
1. It is always secondary
2. Most common primary is stomach
3. Usually bilaterality
4. Signet ring cells are seen

Correct answer: 1. It is always secondary

Explanation: Ans. A. It is always secondaryKrukenberg tumor is generally a metastatic tumor to the ovary. But "Krukenberg tumor may be a primary tumor"The most common primary sites from where metastases to the ovaries occur are gastrointestinal tract (pylorus, colon and rarely small intestine), gallbladder, pancreas, breast and endometrial carcinoma.* These are usually bilateral tumors which maintain shape of the ovary. Histologically 'signet ring' looking cells are characteristic of Krukenberg tumor.